All are derivatives of paramesonephric duct except
1. Appendix of testis
2. Hydatid of morgagni
3. Uterus
4. Gartner's duct

Correct answer: 4. Gartner's duct

Explanation: Paramesonephric ducts : In Females it forms uterine tubes, uterus and upper part of vagina In Males:Its a vestigeal remanent Presents on the upper pole of the testis and attached to the tunica vaginalis which may give rise to cysts Gartner's duct: Derived from mesonephric duct in females. Longitudinal duct running parallel to the uterine tube and embedded in the wall of cervix. Equivalent to vas deferens in male. HUMAN EMBRYOLOGY, INDERBIR SINGH,Pg no:226, 277,9th edition